Specific side effect of thalidomide is
1. Lymphopenia
2. Lymphocytosis
3. Phacomelia
4. Optic neuritis

Correct answer: 3. Phacomelia

Explanation: Ans. is 'c' i.e., Phacomelia Thalidomide* Thalidomide is an anxiolytic, antiemetic drug with antiinflammatory, cytokine modulatory property.* Thalidomide was introduced in 1958 for morning sickness and was found to be highly teratogenic resulting in thousand of babies with phocomelia (seal like limbs) and withdrawn in 1961.* Now it has come again in the market for use as an anticancer drug in multiple myeloma and melanoma.* Lenalidomide is its more potent and non-teratogenic derivative. Thalidomide most commonly causes sedation and constipation in cancer patients.* It can also cause peripheral sensory neuropathy.* Two enantiomers of thalidomide (R and S) are present but these are interconvertible in body, therefore racemic mixture is used.* Antiangiogenic action is responsible for antitumor activity.